Lisch nodule seen in-
1. Sympathetic ophthalmitis
2. Neurofibromatosis
3. Chronic iridocyclitis
4. Trachoma

Correct answer: 2. Neurofibromatosis

Explanation: *Lisch nodules are the most common type of ocular involvement in NF-1. These nodules are melanocytic hamartomas, usually clear yellow to brown that appear as well- defined, dome-shaped elevations projecting from the surface of the iris. Ref: Harrison 18th/e p.2964